Arterial supply of tonsil is mainly -
1. Tonsillar branch of facial artery
2. Maxillary artery
3. Middle meningeal artery
4. External carotid artery

Correct answer: 1. Tonsillar branch of facial artery

Explanation: Tonsillar branch of facial artery is the main arterial supply of tonsils.